When a child shows the persistence of ATNR beyond 2-3 months and strongly shows grasp reflex and labyrinthine reflex, and never shows parachute reflex, then:
1. The child is normal.
2. Spastic cerebral palsy.
3. Hemiplegia.
4. Atonic child.

Correct answer: 2. Spastic cerebral palsy.